A ventrolateral cordotomy is performed to produce relief of pain from the right leg. It is effective because it interrupts the -
1. Left Dorsal Column
2. Left Lateral Spinothalamic Tract
3. Right Lateral Spinothalamic Tract
4. Right corticospinal Tract

Correct answer: 2. Left Lateral Spinothalamic Tract